A new bom presented with Jaundice. Most diagnostic investigation of choice is
1. Total and Direct bilirubin
2. Conjugated bilirubin
3. Serum. Bilirubin
4. Uroporphyrin levels

Correct answer: 1. Total and Direct bilirubin

Explanation: (Total and Direct bilirubin) (171 - Ghair 6th)* Unconjugated Hyperbilirubinemia1. Clinical Jaundice appearing in the first 24 hours2. Increase in level of total bilirubin by more than 0.5 mg/dL /hour or 5mg/dL /24 hours3. Total bilirubin >15mg/dL (hyper bilirubinemia)4. Direct bilirubin >2.0mg /dL* Conjugated hyperbilirubinemia - is rare in newborn, conjugated hyper bilirubinemia is defined as a direct reacting fraction of >2mg/dL or >15% of the total bilirubin